In Radionuclide imaging, the most useful radio-pharmaceutical for skeletal imaging is:
1. Gallium-67
2. Technetium-sulphur-colloid
3. Technetium-99m
4. Technetium-99m linked to Methylene diphosphonate

Correct answer: 4. Technetium-99m linked to Methylene diphosphonate

Explanation: Ans. D: Technetium-99m linked to Methylene diphosphonate Applications of Tc-99m includes bone imaging (99m Tc tagged phosphorous compounds) Scans used for: Hot spot in MI: Technetium scan Pancreatic scanning: Selenium 75 Parathyroids: Sestamibi scan Renal GFR estimation: Tc 99DTPA scan Vesicourethral reflex: MAG3 Tc 99 scan Thyroid scan: 1-131